Bile infarct is related to -
1. Hepatitis B
2. Dubin Johnson syndrome
3. Extrahepatic cholestasis
4. Intraphepatic cholestasis

Correct answer: 3. Extrahepatic cholestasis